Refractive index of the cornea is –
1. 1.33
2. 1.37
3. 1.42
4. 1.45

Correct answer: 2. 1.37

Explanation: The refractive index is 1.376.